Optic foramen is situated between which of the following structures?
1. 2 roots of the lesser wing of the sphenoid
2. Lesser wing and body of the sphenoid
3. Greater wing and body of the sphenoid
4. Greater wing of sphenoid and ethmoid bone

Correct answer: 1. 2 roots of the lesser wing of the sphenoid

Explanation: 2 roots of the lesser wing of the sphenoid contains optic foramen. Optic canal is the continutaion from optic foramania Optic foramen transmits Optic nerve with all layer of meninges Ophthalmic artery